Microsatellite sequence is -
1. Small satellite
2. Extra chromosomal DNA
3. Short sequence (2-5) repeat DNA
4. Looped-DNA

Correct answer: 3. Short sequence (2-5) repeat DNA

Explanation: Microsatellite repeat sequences exist as both dispersed and grouped tandem arrays.
The sequences consist of 2-6 bp repeated upto 50 times.